Extraction of a maxillary second molar has resulted in a perforation of the maxillary antrum 0.5 cm in diameter. An acceptable procedure would be?
1. Caldwell-Luc procedure
2. Creation of a nasal antrostomy window for proper aeration and drainage.
3. Smoothening the bone margins of the socket and placement of sutures across the socket.
4. Insertion of iodoform gauze packing into the socket to allow healing by second intention.

Correct answer: 3. Smoothening the bone margins of the socket and placement of sutures across the socket.